Which of the following is not seen in early onset Alzheimer's Disease:
1. Aphasia
2. Apraxia
3. Acalculia
4. None

Correct answer: 4. None

Explanation: Answer is None (All are seen) > AgnosiaAphasia, Apraxia, Acalculia and Agnosias may all be seen in Alzheimer's Dementia.`Agnosia' in Alzheimer's disease usually presents late in the disease and is not included in the ICD-10 Diagnostic criteria for dementia in Alzheimer's disease with early onset and hence may be selected as the single best answer by exclusion.Dementia in Alzheimer's Disease with Early Onset (ICD-10 criterion)The criteria for dementia in Alzheimer's Disease must be met, and the age at onset must be less than 65 years.In addition atleast one of the following requirements must be met:a) evidence of relatively rapid onset and progressionb) in addition to memory impairment there must be:- Aphasia (Amnesia or sensory)- Agraphia- Alexia (indicating the presence of temporal, parietal or frontal lobe involvement)- Acalculia or- Apraxia